Semen squeeze
1. Erectile dysfunction
2. Premature ejaculation
3. Retrograde ejaculation
4. Antegrade ejaculation

Correct answer: 2. Premature ejaculation

Explanation: * Squeeze Technique: * Variation of the Masters and Johnson method. * As a man approaches climax, either he or his partner squeezes the tip of the penis just below the head of the penis as he approaches the point of climax. * Pressure is held there until the sensation of impending orgasm diminishes. * This pressure can even be held until there is some reduction in erection. * The process can then be started over again so that over time a man prolongs the time period until he reaches ejaculation. * Useful to treat cases of premature ejaculation REF : HARRISON 21ST ED